70 year old man has abdominal pain with mass inabdomen. Angiography reveals aneurysm of aorta. Mostlikely cause is:
1. Trauma
2. Atherosclerosis
3. Syphilis
4. Congenital

Correct answer: 2. Atherosclerosis

Explanation: . Atherosclerosis